A child was born with deformity of foot. The foot is severely internally rotated and inverted that the sole faces superiorly. The treatment of this deformity should begin:
1. As soon as possible after birth
2. 1 month after birth
3. 1 year after birth
4. None of the above

Correct answer: 1. As soon as possible after birth

Explanation: This is a case of congenital clubfoot. Congenital clubfoot (equinovarus foot; talipes equinovarus) is a severe fixed deformity of the foot. It is characterized by fixed ankle plantar flexion (equinus), inversion and axial internal rotation of the subtalar (talocalcaneal) joint (varus), and medial subluxation of the talonavicular and calcaneocuboid joints (adductus). The foot is so severely internally rotated and inverted that the sole faces superiorly. Clubfoot always requires treatment, which should begin at birth. The initial approach is passive manipulation and positioning to the corrected position. Ref: Rab G.T. (2006). Chapter 11. Pediatric Orthopedic Surgery. In H.B. Skinner (Ed), CURRENT Diagnosis & Treatment in Orthopedics, 4e.